Which enzyme polymerises okazaki fragments ?
1. DNA polymerase I
2. DNA polymerase II
3. DNA polymerase III
4. RNA polymerase

Correct answer: 3. DNA polymerase III

Explanation: Ans. is 'c' i.e., DNA polymerase III Two DNA polymerases act on Okazaki fragments :? DNA polymerase :- Causes polymerization of okazaki fragments, i.e. synthesis of DNA on lagging strand. It also causes synthesis of leading strand. DNA polymerase I :- It fills the gap between okazaki fragments when their polymerization is completed, i.e. when the synthesis on lagging strand is completed, DNA polymerase I fills the gap between fully polymerized okazaki fragments. Thus, DNA polymerase III is involved during 'elongation' (polymerization of okazaki fragments) and DNA polymerase I is involved during 'termination' (filling the gaps between okazaki fragments).